Tiotropium is used for -
1. Treating urinary retention
2. Treating ileus
3. Increasing salivation
4. Treating Asthma

Correct answer: 4. Treating Asthma

Explanation: Ans. is 'd' i.e., Treating Asthma o Ipratropium and tiotropium are anticholinergic bronchodilators.